Food interferes with absorption of
1. Candesartan
2. Valsartan
3. Telmisartan
4. Irbesartan

Correct answer: 2. Valsartan